Growth hormone has its effect on growth through?
1. Directly
2. IG1-1
3. Thyroxine
4. Intranuclear receptors

Correct answer: 2. IG1-1

Explanation: Ans. is 'b' i.e., IGI-1GH has two major functions :-i) Growth of skeletal system :- The growth is mediated by somatomedins (IGF). Increased deposition of cartilage (including chondroitin sulfate) and bone with increased proliferation of chondrocytes and osteocytes.ii) Metabolic effects :- Most of the metabolic effects are due to direct action of GH. These include gluconeogenesis, decreased peripheral utilization of glucose (decreased uptake), lipolysis and anabolic effect on proteins.